Which of the following is not the karyotype of turners syndrome?
1. 46,X, i(X) (q10)
2. 45 XO
3. 46 XX, i(Xp)
4. 46,X,r(X)

Correct answer: 3. 46 XX, i(Xp)

Explanation: Karyotypic abnormalities of Turner syndrome :u45 XO karyotype uIsochromosome of long arm resulting in loss of short arm - 46X i(X)(q10)uDeletion of a portion of both long and short arm of X resulting in a ring chromosome - 46X r(X)uDeletion of a portion of a short arm of X - 46X del(Xp)uDeletion of a portion of a long arm of X - 46X del (Xq)uMosaics: 45X/46XX , 45X/47XXX, 45X/46X i(X) (q10)(Ref: Robbins 9/e p166)